WHO Growth Chart has got information for all except:
1. Immunisation Procedures
2. Child spacing
3. History of sibling health
4. History of maternal health

Correct answer: 4. History of maternal health

Explanation: GROWTH CHART: Growth chart: (Road to health chart): Is a visible display of child's Physical growth and development. Growth chart is designed for: Longitudinal follow-up (growth monitoring) of a child. Growth chart is generally plotted between: Weight and Age. Growth chart provides information on: Identification and registration Birth date and birth weight Chronological age Weight-for-age Developmental milestones History of sibling health Immunisation procedure Introduction of supplementary foods Episodes of sickness Child spacing (Contraceptive/Family planning methods used) Reasons for special care. WHO HOME BASED GROWTH CHART : WHO grwoth chart has 2 reference curves: Upper Reference Curve(URC): 50th percentile for boys Lower Reference Curve(LRC): 3rd percentile for girls. Road to health: Is the space between two growth curves (weight channel). It includes Zone of normality for most populations i.e., 95% of healthy normal children used as reference fall in this area. WHO reference curves are based on: NCHS standards (National Centre for Health statistics, USA) The 3rd percentile (LRC) corresponds to approximately 2 SD below the median of weight-for-age reference value (i.e., URC) Ref: Park 25th edition Pgno: 580